Contraindication of induction of labour among the following is
1. Contracted pelvis
2. Bad obstetrical history
3. Diabetes
4. Heart disease

Correct answer: 1. Contracted pelvis

Explanation: Methods to induce or augment labor are contraindicated by most conditions that preclude spontaneous labor or delivery. The few maternal contraindications are related toPrior uterine incisionType contracted or distorted pelvic anatomy,Abnormally implanted placentas, and Uncommon conditions such as active genital herpes infection or cervical cancer. Fetal factors include Appreciable macrosomiaSevere hydrocephalusMalpresentationNonreassuring fetal statusRef: Willaim's Obstetrics; 25th edition